Bolton analysis is used to determine
1. Arch length - tooth size discrepancy
2. Apical base Length to arch perimeter
3. Tooth size ratio in maxilla
4. Upper teeth to lower teeth size ratio

Correct answer: 4. Upper teeth to lower teeth size ratio